Which of the following pathway occurs partly in mitochondria and partly in cytosol ?
1. Glycolysis
2. Kreb's cycle
3. Ketogenesis
4. Urea cycle

Correct answer: 4. Urea cycle

Explanation: Ans. is 'd' i.e., Urea cycle